An otherwise healthy male presents with a creamy curd like white patch on the tongue. The probable diagnosis is
1. Candidiasis
2. Histoplasmosis
3. Lichen Planus
4. Aspergillosis

Correct answer: 1. Candidiasis

Explanation: A i.e. Candidiasis